Anterior choroidal artery is a branch of which of the following arteries?
1. Basilar artery
2. Anterior cerebral artery
3. Posterior cerebral artery
4. Internal carotid artery

Correct answer: 4. Internal carotid artery

Explanation: Anterior choroidal artery is a branch of internal carotid artery. It supplies blood to the optic tract, posterior limb of internal capsule, ipsilateral cerebral peduncles, choroid plexus of the ipsilateral lateral ventricles, medial temporal lobe, thalamus, and part of corpus striatum. Branches of the Intracranial internal carotid artery are: Meningohypophyseal artery Inferolateral artery Capsular artery Ophthalmic artery Superior hypophyseal artery Posterior communicating artery Anterior choroidal artery Anterior cerebral artery Middle cerebral artery Ref: Neuroscience in Medicine edited by P. Michael Conn page 150, Waxman S.G. (2010). Chapter 12. Vascular Supply of the Brain. In S.G. Waxman (Ed), Clinical Neuroanatomy, 26e.